Burst abdomen occurs most common on -
1. 2nd day
2. 7th day
3. 4th day
4. 9th day

Correct answer: 2. 7th day

Explanation: Ans. is 'b' i.e., 7th day o In 1 -2% cases, mostly between sixth and eight day after operated, and abdominal wound bursts open and viscera are extruded.